Variola is a type of which pox virus?
1. Parapoxvirus
2. Orthopoxvirus
3. Yatapox virus
4. Molluscipox virus

Correct answer: 2. Orthopoxvirus

Explanation: ANSWER: (B) Orthopox virusREF: Jawetz 24th ed chapter 34 table 34-2 POXVIRUSES CAUSING DISEASE IN HUMANSGenusVirusPrimary hostDiseaseOrthopoxvirusVariolaHumansSmallpox (now eliminated) VacciniaHumansLocalized lesion; used for smallpox vaccination BuffalopoxWater buffaloHuman infections rare; localized lesion MonkeypoxRodents, monkeyHuman infections rare; generalized disease CowpoxCowHuman infections rare; localized ulcerating lesionParapoxvirusOrfSheepHuman infections rare; localized lesionPseudocowpoxCowsBovine papular stomatitisCowsM olluscipoxvirusMolluscumcontagiosumHumansMany benign skin nodulesYatapoxvirusTanapoxMonkeysHuman infections rare; localized lesion YabapoxMonkeysHuman infections very rare and accidental; localized skin tumors